HIVrenal specific nephropathy-
1. FSGS
2. Membrano proliferative
3. Mesangioproliferative G. N.
4. Membranous glomerulonephritis

Correct answer: 1. FSGS